Study of designing equipment and devices that fit the human body., its movements, and its cognitive abilities is?
1. Economics
2. Ergonomics
3. Bionomics
4. Socionomics

Correct answer: 2. Ergonomics

Explanation: Ans. is b i.e., Ergonomics o Ergonomics is the scientific discipline that seeks to understand and improve human interactions with products. equipment, environments and system. o It simply means "fitting the job to the worker".